Characteristics of SIRS includes the following except -
1. Leukocytosis
2. Thrombocytopenia
3. Infectious or noninfectious cause
4. Oral temperature > 38°C

Correct answer: 2. Thrombocytopenia